Not a part of normal microbial flora of body -
1. Staph aureus
2. Mycobacterium tuberculosis
3. Candida albicans
4. Corynebacterium

Correct answer: 2. Mycobacterium tuberculosis

Explanation: Ans. is 'b' i.e., Mycobacterium tuberculosiso Colonization is the multiplication of microorganism on or within the host that does not result in cellular injuryo However, microorganisms that are colonized on a host may be potential source of infection especially if host susceptibility declines or microorganisms virulence increaseso Normal microbial flora term is used to describe microorganisms that are frequently found in particlar anatomic sites in healthy individuals.o Microorganisms residing on human body as normal flora are of two types: -1) Resident flora# Resident flora are the microorganisms that are always present, usually without altering the client's health.2) Transient flora# Transient flora are episodic organisms, they present for a brief period but do not continually live on/in human body.Common natural flora at various site of body ResidentTransient floraSkinCorynebacterium, Micrococcus, Coagulase negative staphylococci, Propionobacterium,Pityrosporrum, Demodex follicularumStaph aureus, viridans streptococci group A streptococci, Enterococcus Malassezia,E.coli, Proteus, Klebsiella, Candida, Trichophyton.Mouth&prpphqryojtStr. viridans, Coagulase negative staph., Hemophillus, Peptostreptococci, Bacteriodes, Prevotella, Vellionella, non-meningococcal neisseria, Fusobacterium, ActinomycesGroup A Streptococcus, Lactobacillus N. meningitidis, Candida, CMV, HSV, Moraxella, Eikenella corrodens.Nose&NasoDharvnxCoagulase negative staph., Corynebacterium, Strep, viridansNon-meningococcal & Meningococcal neisseria, Staph aureus,Str. pneumoniae, MorexellaVaginaLactobacillus, Streptococcus, Prevotella, Coagulase negative staphylococci,Card, vaginalis, ActinomycesCandida, Trichomonas vaginalis,Group B streptococci, Enterococcus.EveCoagulase negative staph, Micrococci, Hemophillus, CorynebacteriumBacillus, Strep viridans, Propiono bacterium. Staph aureus, str. pneumoniaeStpmayh Streptococci, Lactobacillus, H. PyloriSmall intestineLactobacillus, Streptococcus, Vellionella, Prevotella, Porphyromonas, Bifidobacter Bacteroides, Clostridium, EnterobacteriaceaseCandida, Entamoeba coli, E.Nana, Trichomonas Hominis, Blastocystis hominisLaree intestineBifidobactor, Peptostreptococci, Enterococcus Lactobacillus, Vellionella, Eubacterium, Fusobacterium, Prevotella, Porphyromonas, Bacteroides, Clostridium, EnterobacteriaceaeCandida, Corynebacterium, Pseudomonas, MAC, Entamoeba coli, E.nana, Trichomonas Hominis, Enterovirus, Blastocystis hominisUrethraCorynebacterium, Strept viridans, Coagulase negative staph, LactobacillusM. smegmetis, Enterococcus, Mycoplasma, Neoplasma, Bacteroides, Fusobacterium